Which among the following is NOT a common finding of the deciduous dentition?
1. Tight contacts, absence of spacing
2. Shallow overjet and overbite
3. Flush terminal plane
4. Ovoid arch form

Correct answer: 1. Tight contacts, absence of spacing